Harakiri means
1. Stabbing heart
2. Cutting the genitalia
3. Shooting in mouth
4. Stabbing in abdomen

Correct answer: 4. Stabbing in abdomen

Explanation: Harakiri (seppuku) is a form of Japanese ritual suicide by disembowelment. Stab injury in the abdomen (L-shaped), causing instantaneous evisceration of bowel loops. It results in sudden decrease in abdominal pressure and cardiac return resulting in circulatory collapse and death.